TRUE about corpus callosum is/are? 1. Largest commissure of the brain 2. Connect two frontal lobe 3. Unite two hemispheres 4. Superiorly related to indusium griseum 5. Co-ordinates activities of two hemispheres
1. 1,2,3 & 5
2. 1,2,3 & 4
3. 2,3,4 & 5
4. 1,2,3,4 & 5

Correct answer: 4. 1,2,3,4 & 5

Explanation: Corpus callosum is the largest commissure of the brain. It connects the two cerebral hemispheres. It connects all part of the cerebral cortex of the two sides, except the lower and anterior parts of the temporal lobes which are connected by the anterior commissures. It is approximately 10 cm long, with an anterior end approximately 4 cm from the frontal lobes and posterior end approximately 6 cm from the occipital lobe.The superior surface of callosal trunk is covered by a thin layer of grey matter, the indusium griseum.Connection that link the same, or similar area on each side are termed homotopic connections. The corpus callosum also interconnects heterogeneous cortical areas on the two sides (heterogenous connections).Fibres of corpus callosumThe rostrum connects the orbital surfaces of the two frontal lobes.The forceps minor is made up fibres of genu that connects the two frontal lobes.The forceps major is made up of fibres of the splenium connecting the occipital lobes tapetum.Functional significance: The corpus callosum helps in co-ordinating activities of the two hemispheres.